Lymphoid tissue is seen in which parotid tumor -
1. Pleomorphic adenoma
2. Warthins tumor
3. Adenoid cystic
4. Mucoepidermoid

Correct answer: 2. Warthins tumor

Explanation: Answer- B. Warthins tumorOn microscopic examination, cystic spaces are lined by a double layer of neoplastic epithelial cells resting on a dense lymphoid stroma.Warthin's tumor is the 2nd most common salivary gland neoplasm (after pleomorphic adenoma).